Which of the following is false regarding microarray technique
1. Core principle is DNA Hybridization
2. Also known as DNA chip or biochip
3. Can detect deletions and insertions
4. Can detect Robertsonian translocation

Correct answer: 4. Can detect Robertsonian translocation

Explanation: Microarray assay can't detect certain chromosome rearrangements such as balanced translocations (eg: Robertsonian translocations) and inversions. Although there has been an exchange of DNA, there is no net gain or loss of DNA. Hence microarray can't detect it.